Chitin contains-
1. a) Alpha 1-4 bond
2. b) Alpha 1-6 bond
3. c) Beta 1-6 bond
4. d) Beta 1-4 bond

Correct answer: 4. d) Beta 1-4 bond

Explanation: Explanation- Chitin- Made up of N Acetyl D Glucosamine joined by b1 ------- 4 linkage.